Medical certificate is :
1. Documentary evidence
2. Oral evidence
3. Hearsay evidence
4. Parole

Correct answer: 1. Documentary evidence

Explanation: A i.e. Documentary evidence Medical certificate is simplest form of documentary evidence. In case of death certificate doctor - Must issue certificate & cannot charge any fees for itQ Can not delay it even if his professional charges are not paid Must mention the exact cause of death instead of vague terms.